Phaeochromocytomas occur in all these syndromes except
1. Multiple endocrine neoplasia type 1(MEN 1)
2. Familial paraganglioma (PG) syndrome
3. Von Hippel-Lindau (VHL) syndrome
4. Neurofibromatosis (NF) type

Correct answer: 1. Multiple endocrine neoplasia type 1(MEN 1)

Explanation: Phaeochromocytoma is known as the '10% tumour' as 10% of tumours are inherited, 10% are extra-adrenal,10% are malignant, 10% are bilateral and 10% occur in children.Hereditary phaeochromocytomas occur in several tumour syndromes:Multiple endocrine neoplasia type 2 (MEN 2)Familial paraganglioma (PG) syndromeVon Hippel-Lindau (VHL) syndromeNeurofibromatosis (NF) type 1Ref: Bailey and Love 27e pg: 845